Presbycusis is -
1. Loss of accommodation power
2. Hearing loss due to ageing
3. Noise induced hearing loss
4. Congenital deafness

Correct answer: 2. Hearing loss due to ageing

Explanation: It is mid to late adult onset, bilateral, progressive sensorineural hearing loss, where underlying causes have been excluded.